All except one belongs to intermediate pressure system of anaesthetic machine
1. Emergency oxygen flush
2. Yoke assembly system
3. Pipeline pressure gauge
4. Pipeline supply

Correct answer: 2. Yoke assembly system

Explanation: Yoke assembly system belongs to high pressure system of anaesthetic machine.